A 28 year old woman comes to you with complaints of uterine prolapse. She has not completed her family. Which of the following is not a suitable treatment option for her?
1. Abdominal Cervicopexy
2. Shirodkar's abdominal sling operation
3. Le - fort's repair
4. Khan's abdominal sling operation

Correct answer: 3. Le - fort's repair

Explanation: Le - fort's repair is used in very elderly postmenopausal patients with high medical risk or high degree of prolapsed. It shouldn't be done in a menstruating woman or a woman with active sexual life. Ref: Shaw's Textbook of Gynaecology, 12th Edition, Page 267.